Bupivacaine poisoning is treated with :
1. Esmolol
2. Sotalol
3. Diazepam
4. lipid emulsion

Correct answer: 4. lipid emulsion